Minimum filteration through glomerulatus ?
1. Glucose
2. Inulin
3. Creatinine
4. Myoglobin

Correct answer: 4. Myoglobin

Explanation: Ans. is 'd' i.e., MyoglobinWater is freely filterable through glomerular barrier. A filterability of 1.0 means that the substance is filtered as freely as water; a filterability of 0.75 means that the substance is filtered only 75 percent as rapidly as water. Substances that are freely filterable (filterability 1.0) are water, sodium, glucose, Bicarbonate, inulin, and creatinine. Myoglobin is partially filterable (filterability of 0.75) and albumin is almost not filterable (filterability of 0.005) under normal conditions.